Burkitts lymphoma shows which translocation-
1. t (8-14)
2. t (11-14)
3. t(14-18)
4. t (14-21)

Correct answer: 1. t (8-14)

Explanation: Cytogenetic abnormalities in the tumor cells of Burkitt's lymphoma is t (8;14) ,and t (8;22) involving MYC gene on chromosome 8 witho overexpression of MYC protein having transforming activity. Reference textbook of Pathology 6th edition Author Harsha Mohan page number 378